Flocillations are seen in :
1. Alzheimer's disease
2. Lewy body dementia
3. Punch drunk syndrome
4. Delirium

Correct answer: 4. Delirium

Explanation: Flocillations or bed picking behavior is seen in patients with delirium.